Which of the following is a ribozyme-
1. Peptidvltransferase
2. Elongation factor 2
3. Primase
4. RNA polymerase

Correct answer: 1. Peptidvltransferase

Explanation: Ans. is 'a' i.e., Peptidyl transferase o Some RNA molecules have intrinsic catalytic activity.o The activity of these ribozymes often involves the cleavage of nucleic acid,o Two important RNA enzymes or ribozymes are: -The peptidyl transferase that catalyzes peptide bond formation on the ribosome andRibozymes involved in the RNA splicing.